Neurofibromatosis true all, except
1. Autosomal recessive
2. Associated with cataract
3. Scoliosis
4. Multiple fibroma

Correct answer: 1. Autosomal recessive

Explanation: . Autosomal recessive